True about sternal angle -
1. Xiphisternal joint
2. AtT6.7 level
3. Articulates with 2nd costal cartilage
4. None of the above

Correct answer: 3. Articulates with 2nd costal cartilage

Explanation: Ans. is 'c' i.e., Articulates with 2nd costal cartilageo Sternal angle of Louis is man uhriosternal joint (not xiphisternal joint),o It is at the level of T4 -T5 intervertebral space,o 2nd costal cartilage articulates at sternal angle